Miltefosine treatment for kala azar is to be given for:
1. 1 week
2. 2 weeks
3. 3 weeks
4. 4 weeks

Correct answer: 4. 4 weeks

Explanation: Miltefosine Dosages : After enrollment oral miltefosine treatment will be administered as per following dosage schedule: i. Adults (>12 years) weighing more than 25kg: 100mg miltefosine daily as one capsule (50 mg) in the morning and one capsule in the evening, after meals for 28 days. ii. Adults (>12 years) weighing (less than 25kg) 50mg, miltefosine daily as one capsule (50 mg) in the morning, after meals for 28 days. iii. Children (2-11 years): miltefosine will be given at 2.5 mg/kg daily after meals for 28 days, i.e., 50mg daily once a day. iv. The drug is not to be used in the case of children below 2 years of age. Ref: